In Kartagener syndrome cause of infertility is?
1. Oligospermia
2. Asthenospermia
3. Undeescended testis
4. Epididymis obstruction

Correct answer: 2. Asthenospermia

Explanation: Asthenozoospermia (or asthenospermia) is the medical term for reduced sperm motility. Oligospermia refer to semen with a low concentration of sperm Immotile cilia syndrome: Large numbers of viable nonmotile sperm suggest the Immotile cilia syndrome in which sperm tails have a structural abnormality and cannot flagellate. The cilia of the respiratory tract are usually also involved; affected individuals are infertile and predisposed to chronic respiratory tract infections. When also associated with Situs Inversus, the Immotile Cilia Syndrome is known as Kartagener syndrome.